Temporary and permanent hardness of water is removed by-
1. Boiling
2. Addition of lime
3. Permutit method
4. All

Correct answer: 3. Permutit method

Explanation: Ans. is 'c' i.e., Permutit method